Thalassemia gives protection against ?
1. Filaria
2. Kala-azar
3. Malaria
4. Leptospirosis

Correct answer: 3. Malaria

Explanation: Ans. is 'c' i.e., Malaria Types of anemia, that have protective effect against R falciparum malaria : - G6PD deficiency, Sickle cell anemia, Thalassemia, HbC, Pyruvate kinase deficiency